Which of the following nerves accompanies the profunda brachii artery
1. Ulnar
2. Musculocutaneous
3. Radial
4. Median

Correct answer: 3. Radial

Explanation: Profunda brachii artery is accompanied by radial nerve through the radial groove and it gives off the branches radial collateral,middle collateral, deltoid branch and nutrient artery to humerus. B D Chaurasia 7th edition Page no: 102